Which of the following is the contribution of Germany to public health?
1. Socialization
2. Pasteurization
3. Development of baths, sewers, aqueducts for sanitation
4. Instituting compulsory sickness insurance

Correct answer: 4. Instituting compulsory sickness insurance

Explanation: Germany led the way by instituting compulsory sickness insurance in 1883 Ref: Park's textbook of preventive and social medicine; 23rd edition